Articular surface of the sarum extends upto how many vertebrae in males ?
1. 1 to 11/2
2. 2 to 21/2
3. 3 to 31/2
4. 4 to 41/2

Correct answer: 3. 3 to 31/2

Explanation: Articular surface of sacrum: the rough articular surface on the lateral aspects of the sacrum that articulates with the ilium on each side.